Daily energy requirement for reference female, who is sedentary (in Kcal) -
1. 1900
2. 2230
3. 2500
4. 2850

Correct answer: 1. 1900

Explanation: A women who is sedentary worker of body weight 55 kg require 1900Kcal per day. REF. PARK'S TEXTBOOK OF PREVENTIVE AND SOCIAL MEDICAL 21ST EDITION. PAGE NO - 585,TABLE - 24)